Under classification of Renal injuries, Laceration more than 1 cm without extension into the renal pelvis or collecting system comes under which Grade?
1. Grade I
2. Grade III
3. Grade IV
4. Grade V

Correct answer: 2. Grade III

Explanation: Grade Type Description I Contusion Microscopic (>3 RBCs/HPF)or gross hematuria, urological studies normal Hematoma Subcapsular, nonexpanding without parenchymal laceration. II Hematoma Nonexpanding perirenal hematoma, confined to renal retroperitoneum Laceration <1 cm parenchymal depth of renal cortex without urine extravasation. III Laceration >1 cm parenchymal depth of renal cortex without collection system rupture or urinary extravasation IV Laceration Parenchymal laceration extending through collecting system Vascular Main renal artery or vein injury with contained hemorrhage V Laceration Completely "Shattered kidney" Vascular Avulsion of renal hilum, devascularising the kidney.